Pityriasis versicolor is caused by-
1. E. floccosum
2. M. gypseum
3. M. furfur
4. T. tonsurans

Correct answer: 3. M. furfur

Explanation: Tinea Versicolor or Pityriasis Versicolor: It is a chronic recurrent condition involving stratum corneum of skin, caused by a lipophilic fungus - Malassezia furfur. Malassezia furfur is a lipophilic fungus that is found on skin. Clinical manifestation: Characterized by scaly patches of hypo to hyper pigmentation of skin * Areas rich in sebaceous glands are commonly involved (neck, chest or upper arms). E. floccosum - cause Tinea unguium M. gypseum - cause Ectothrix infection T. tonsurans and T. violaceum- cause Endothrix